True regarding reactive arthritis is all except
1. HLA B27 & HIV affects severity
2. Dactylitis & enthesitis
3. Keratoderma mostly on glans
4. Asymmetrical sacroilitis

Correct answer: 3. Keratoderma mostly on glans

Explanation: C. Keratoderma mostly on glans